Which of the following is least likely to be seen in occupational cancer?
1. Skin
2. Lungs
3. Liver
4. Bladder

Correct answer: 3. Liver